Stomach bed is formed by all except ?
1. Pancreas
2. Right kidney
3. Splenic artery
4. Diaphragm

Correct answer: 2. Right kidney

Explanation: The posterior surface of stomach is related to structures forming the stomach bed, all of which are separated from stomach by the cavity of the lesser sac. These structures forming stomach bed are :- Diaphragm, Pancreas (body) Splenic artery Left kidney Transverse colon Left suprarenal (adrenal) gland Splenic flexure of colon Sometimes spleen is also included in stomach bed, but it is separated from stomach by greater sac (not lesser sac).